The brush border bound hydrolase linked with sucrase is
1. Alpha dextrinase
2. Glucose hydrolase
3. Trehalase
4. Alpha fructase

Correct answer: 1. Alpha dextrinase

Explanation: Hydrolysis of sucrose (optical rotation +66.5deg) will produce one molecule of glucose (+52.5deg) and one molecule of fructose (-92deg). Therefore the products will change the dextrorotation to levorotation, or the plane of rotation is inverted. Equimolecular mixture of glucose and fructose thus formed is called invert sugar. The enzyme producing hydrolysis of sucrose is called sucrase or invertase. Honey contains invert sugar. Invert sugar is sweeter than sucrose.Ref: DM Vasudevan, page no: 68